Creatinine is formed from
1. Glycine
2. Lysine
3. Leucine
4. Histamine

Correct answer: 1. Glycine

Explanation: Creatinine and creatine are synthesized from glycine, arginine, and methionine. Synthesis of creatine and creatinine Creatine and creatinine are not amino acids, but specialized products of amino acids. Creatine is synthesized from glycine, arginine, and methionine. The synthesis starts with the formation of guanidinoacetate from glycine and arginine in the kidney. Further reactions take place in the liver and muscle. REF: Lippincott book of biochemistry 6th ed.